Gallstone are associated with which Neuro Endocrine Tumour :-
1. Insulinoma
2. VIPoma
3. Somastostatinoma
4. Glucagonoma

Correct answer: 3. Somastostatinoma

Explanation: Somatostatinoma syndrome is a triad of diabetes mellitus, diarrhea and gallstones, but also includes weight loss and hypochlorhydria.